Test in which weight of lung is compared to body weight:
1. Fodere's test
2. Cavett test
3. Ploucquet's test
4. Precipitin test

Correct answer: 3. Ploucquet's test

Explanation: Ans. Ploucquet's test